Small deposits of neuroendocrine cell hyperplasia in scarred lungs are known as:
1. Teratoma
2. Tumorlet
3. Carcinoid
4. Hamartoma

Correct answer: 2. Tumorlet

Explanation: Small deposits of neuroendocrine cell hyperplasia in scarred lungs are known as Tumorlet. Pulmonary tumorlet is an incidental finding at histopathologic examination of lung parenchyma that is often located adjacent to bronchogenic tumors or carcinoid tumors or particularly in lung scarred by bronchiectasis or other chronic inflammatory processes.